Latex card agglutination test is done for
1. Cryptococcus neoformans
2. Candida
3. Coccidiodes
4. Para coccidiodes

Correct answer: 1. Cryptococcus neoformans

Explanation: Latex card agglutination test to detect cryptococcal anitgen in CSF.